Which of the following statements is true about the autonomic nervous system?
1. The superior hypogastric plexus contains sympathetic fibres only
2. The superior hypogastric plexus is located at the anterior aspect of the aortic bifurcation and fifth lumbar vertebra
3. The sympathetic outflow from the CNS is through both the cranial nerves and the sympathetic chain
4. The parasympathetic outflow from the CNS is through cranial nerves only

Correct answer: 2. The superior hypogastric plexus is located at the anterior aspect of the aortic bifurcation and fifth lumbar vertebra

Explanation: Superior hypogastric plexus is an extension of the aortic plexus. It is located anterior to the aorta and inferior to its bifurcation at the vertebra level of L5-S1. The lower two lumbar splanchnic nerves also send input to this plexus. This plexus descends and divides along the internal iliac arteries to form the hypogastric nerve which connects with inferior hypogastric plexus.The plexus recieves autonomic sensory fibres from both the sympathetic and parasympathetic systems from the pelvic viscera. It mediates painful visceral stimuli from most of the pelvic structures including descending colon, sigmoid colon, rectum, prostate, bladder, cervix, uterus, upper vagina, testicles and seminal vesicles. Ref: Ganong's Review of Medical Physiology, 23rd Edition, Chapter 17; Handbook of Pain and Palliative Care: Biobehavioral Approaches for the Life Course By Rhonda J. Moore, Page 541.